The drug which is used for long term maintenance in opioid addiction:
1. Naloxone
2. Nalorphine
3. Butarphamol
4. Methadione

Correct answer: 4. Methadione

Explanation: D i.e. Methadone Naloxone is used in opioid overdoseQ and ultrarapid detoxification of opioid dependent (addicts)Q. Due to short duration of action (t1/2 = 1-2 hour), frequent dosing is required, which makes it unsuitable for maintenance treatmentQ. Naltrexone & Nalmefene are used in rapid detoxification and maintenance of ultrarapid detoxification in opioid addicts (dependent). And methadone is used in short term detoxification, long term detoxification & long term maintenance in opioid dependant (addicts)Q.